Which of the following diseases needs not to be screened for, in workers to be employed in a dye industry in gujarat
1. Anemia
2. Bronchial asthma
3. Bladder cancer
4. Precancerous lesion

Correct answer: 1. Anemia

Explanation: Ans. is 'a' i.e., Anemia Hazards in dye industry include : Bronchial Asthma Skin, bladder and kidney diseases (CA Bladder) - 561 Park Precancerous lesion Anemia is not a hazard in the dye industry and thus its screening is not mandatory.